Rinne's positive means
1. Conductive hearing loss in ipsilateral ear
2. Conductive hearing loss in opposite ear
3. Normal hearing
4. AC < BC

Correct answer: 3. Normal hearing

Explanation: Ans: C (Normal hearing) Ref: Diseases of the Ear Nose and Throat by PL Dhingra. 5th edn .2010 page 26Explanation:Rinne's TestIt is a tuning fork test and is used to assess hearing status in a patientIn Rinne's test air conduction (AC) is compared with bone conduction (BC)Rinne's positive is AC>BC and is seen in normal hearing and SNHLRinne's negative is AC < BC and is seen in conductive hearing loss